Chromoblastomycosis is associated with which type of bodies?
1. Russel bodies
2. Councelmen bodies
3. Medlar bodies
4. Psamoma bodies

Correct answer: 3. Medlar bodies

Explanation: Ans is 'c' i.e. Medlar bodies o Sclerotic cells, also known as Medlar bodies, are globe-shaped, cigar-colored, thick-walled structures that are 4-12 mm in diameter. They are characteristic of chromoblastomycosis, a a chronic fungal infection of the skin and the subcutaneous tissue caused by trauma.